Fracture of both bone forearm at the same level, the position of the arm in plaster is :
1. Full supination
2. 10 degree supination
3. Full pronation
4. Mid - prone

Correct answer: 4. Mid - prone

Explanation: In children, and sometimes also in adults, it is worth - while first to attempt manipulative reduction under anaesthesia.
If this is successful a full - length arm plaster is applied with elbow at a right angle and the forearm in a position midway between pronation and supination (mid prone position).